Cultivation of virus in all of the following media are used for isolation of viruses from clinical samples, EXCEPT:
1. Tissue culture
2. Embryonated eggs
3. Animals
4. Chemically defined media

Correct answer: 4. Chemically defined media

Explanation: Demonstration of virus in appropriate clinical specimens by culture is used in establishing the diagnosis of viral diseases. Isolation of virus is considered as the gold standard for establishing viral etiology of a disease. Most of the viruses can be cultivated in experimental animals, embryonated eggs or tissue culture. Chemically defined media is not used for viral isolation. Ref: Textbook of Microbiology and Immunology By Parija, pages 471-3